Which of the following does not cause hypoglycemia?
1. Insulin
2. Glitmepiride
3. Nateglinide
4. Acarbose

Correct answer: 4. Acarbose

Explanation: Ans. d. Acarbose Acarbose towers glucose by inhibiting intestinal enzymes that digest carbohydrate by reducing carbohydrate digestion.Because of its mechanism of action, acarbose, when administered alone does not cause hypoglycemia in the fasting or postprandial states.Glimepiride and Nateglinide are an insulin secretogogue and it is a well known fact that insulin secretogogues are associated with hypoglycemia.""All the insulin secretogogues increase insulin secretion from the pancreas through the same mechanism, i.e. by interfering with potassium channel. All the insulin secretogogues have the potential to cause profound and persistent hypoglycemia especially in elderly individuals. "Acarbose {Alpha Glucosidase Inhibitor)* Acarbose is alpha glucosidase inhibitor, lowers glucose by inhibiting intestinal enzymes that digest carbohydrate there by reducing carbohydrate digestion.* Because of its mechanism of action, acarbose, w hen administered alone does not cause hypoglycemia in the fasting or postprandial states.* Acarbose only produces hypoglycemia when used along with other oral hvpoglycemics.Indications:* Acarbose can decrease blood glucose in both ty pe I and type 2 DM.* Apart from insulin, acarbose is the only drug approved for the treatment of both ty pe 1 and type 2 DM.Adverse Effect:* Major adverse effect is flatulence due to fermentation of unabsorbed carbohydrates